Apolipoprotein activating LCAT:
1. B-48
2. Apo A-I
3. Apo A -II
4. B-100

Correct answer: 2. Apo A-I

Explanation: LCAT(Lecithin cholesterol acyltransferase) is a plasma enzyme.This is similar to the lipoproteins and can be activated by Apo -I. Also Know: (LCAT) activity is associated with HDL containing apo A-I. As cholesterol in HDL becomes esterified, it creates a concentration gradient and draws in cholesterol from tissues and from other lipoproteins, thus enabling HDL to function in reverse cholesterol transport Ref: Botham K.M., Mayes P.A. (2011). Chapter 26. Cholesterol Synthesis, Transport, & Excretion. In D.A. Bender, K.M. Botham, P.A. Weil, P.J. Kennelly, R.K. Murray, V.W. Rodwell (Eds), Harper's Illustrated Biochemistry, 29e.